In a young patient who had extensive soft tissue and muscle injury, which of these muscle relaxants used for endotracheal intubation might lead to cardiac arrest :
1. Atracurium
2. Suxamethonium.
3. Vecuronium
4. Pancuronium

Correct answer: 2. Suxamethonium.

Explanation: B i.e. Suxamethonium